All the following are cyanotic heart disease except
1. TOF
2. PDA
3. Tricuspid atresia
4. Eisenmenger's complex

Correct answer: 2. PDA

Explanation: Ref Harrison 19 th ed pg 1523 Patent ductus arteriosus is not classified as a cyanotic congenital heayh disease. PDA is an acyanotic heart disease with left to right shunt.